Which of the following is a characteristic feature of Moyamoya disease?
1. Involvement of proximal internal carotid artery
2. Absence of vascular inflammation
3. Patients can be given anticoagulants without any additional risk
4. Surgical bypass from internal carotid artery to middle meningeal artery can be a treatment.

Correct answer: 2. Absence of vascular inflammation

Explanation: Answer- B. Absence of vascular inflammationOcclusive disease involving large intracranial arteries, especially the distal internal carotid artery and the stem of the middle cerebral and anterior cerebral artery.The lenticulostriate arteries develop a rich collateral circulation around the occlusive lesion, which gives the impression of a 'puff of smoke" ( moyamoya in ]apanese) on conventional x-ray angiographyOccurs mainly in Asian children or young adults.Surgical bypass of extracranial carotid arteries to the dura or MCAs may prevent stroke and hemorrhage.